Which of the following contraceptives provides complete protection against sexually transmitted disease:
1. IUCD
2. Barrier method
3. OCP
4. Minipill

Correct answer: 2. Barrier method

Explanation: Ans. B i.e. Barrier method Barrier methods They block sperm from entering the uterus. The following are barrier methods of contraception: - Condom - Female condom - Cervical cap (including Lea's Shield) - Diaphragm The male (and female) condom provides excellent protection against sexually transmitted infections.